Pain rating index is provided by
1. Faces scale
2. Visual analogue scale
3. Mc Gill questionniare
4. CHEOP scale

Correct answer: 3. Mc Gill questionniare

Explanation: C i.e. Mc Gill questionnaire